Antagonism between acetylcholine and atropine:
1. Competitive antagonism
2. Physiological antagonism
3. Noncompetitive antagonism
4. None

Correct answer: 1. Competitive antagonism